The type of acute myelogenous leukemia associated with a high incidence of disseminated intravascular coagulation is
1. Acute erythroleukaemia
2. Acute promyelocytic leukaemia
3. Acute megakaryocytic leukaemia
4. Acute myelomonocytic leukaemia

Correct answer: 2. Acute promyelocytic leukaemia